The treatment of choice in acute hyperkalemia of life threatening to cardiac myocytes is
1. Infusion of calcium gluconate
2. Oral resins
3. Intravenous infusion of insulin
4. b blocker

Correct answer: 1. Infusion of calcium gluconate

Explanation: Ans. is `a' i.e. Infusion of calcium gluconate